The best fluoride compound recommended for mouth rinsing is:
1. Stannous fluoride
2. Acidulated phosphate fluoride
3. Neutral sodium fluoride
4. Ammonium fluoride

Correct answer: 3. Neutral sodium fluoride